Malta fever is caused by -
1. Treponema pallidum
2. Borrelia burgdorferi
3. Brucella melitensis
4. Pseudomonas aeruginosa

Correct answer: 3. Brucella melitensis